Metamerism invariably involves _____.
1. A color difference between two objects under one or more illuminant(s)
2. One object having a lower chroma than another
3. One object having a lower lightness than another
4. A significant color change of one object as it moves from one illuminant to another

Correct answer: 1. A color difference between two objects under one or more illuminant(s)

Explanation: Metamerism is the phenomenon where a color match under a lighting condition appears different under a different lighting condition.